Which is the teeth referred to if by haderup classification it is denoted as (- 4) ?
1. Upper canine
2. Lower first premolar
3. Upper second premolar
4. Lower first molar

Correct answer: 2. Lower first premolar

Explanation: Ans. is 'b' i.e., Lower first premolar